Prophylactic management of other eye in case of acute primary angle closure glaucoma/ PACG:
1. Trabeculectomy
2. Laser irodotomy
3. Iridectomy
4. Medical management

Correct answer: 2. Laser irodotomy

Explanation: Ans. B i.e. Laser iridotomy Angle closure glaucoma Predisposing factor: Shallow anterior chamber May present as: - Painful, red eye with - Headache, nausea, vomiting Pupil is: - Semi-dilated, - Vertically oval & - Fixed Surgical procedure: - LASER irodotomy, - Surgical iridectomy